Jordin is a client with jaundice who is experiencing pruritus. Which nursing intervention would be included in the care plan for the client?
1. Administering vitamin K subcutaneously
2. Applying pressure when giving I.M. injections
3. Decreasing the client’s dietary protein intake
4. Keeping the client’s fingernails short and smooth

Correct answer: 4. Keeping the client’s fingernails short and smooth

Explanation: The client with pruritus experiences itching, which may lead to skin breakdown and possible infection from scratching. 
Keeping his fingernails short and smooth helps prevent skin breakdown and infection from scratching. 
Applying pressure when giving I.M. injections and administering vitamin K subcutaneously are important if the client develops bleeding problems. 
Decreasing the client’s dietary intake is appropriate if the client’s ammonia levels are increased.